All are true about HELLP syndrome EXCEPT:
1. Increased LDH
2. Low platelet
3. Increased live enzymes
4. Hyponatremia

Correct answer: 4. Hyponatremia

Explanation: Ans. (d) HyponatremiaRef. D.C. Dutta's textbook of obstetrics 7le / 222HELLP syndrome is rare complication of pre-eclamsia (10- 15%), but can also develop without maternal hypertension.* H-Hemolysis (bilirubin >1.2 mg/dl)* EL-Elevated Liver enzyme (ASL and ALT >70 IU/L), LDH>600 IU/L, Bilirubin (>1.2mg/dl)* LP-Low Platelets (1,00,000/mm3)